Median Nerve supplies all of the structures, EXCEPT?
1. Opponens pollicis
2. Adductor pollicis
3. Flexor pollicis brevis
4. Abductor pollicis brevis

Correct answer: 2. Adductor pollicis

Explanation: The median nerve enters the hand through the carpal tunnel, deep to the flexor retinaculum along with the tendons of flexor digitorum superficialis, flexor digitorum profundus, and flexor pollicis longus. From there it sends off several branches: 1. Recurrent branch to muscles of the thenar compartment (the recurrent branch is also called "the million dollar nerve"). Here it provides motor innervation to opponens pollicis, abductor pollicis brevis and flexor pollicis brevis. 2. Digital cutaneous branches to common palmar digital branch and proper palmar digital branch of the median nerve which supply the: a) Lateral (radial) three and a half digits on the palmar side b) Index, middle and ring finger on dorsum of the hand 3. The median nerve supplies motor innervation to the first and second Lumbricals of the hand.